Autopsy finding after 12hrs in a case of death due to MI
1. Coagulative necrosis
2. Caseous necrosis
3. Fat necrosis
4. Liquefactive necrosis

Correct answer: 1. Coagulative necrosis